You are in the eye OPD and wish to use a topical Beta blocker in a patient. The Chosen dug by you should have all the following properties except
1. Strong local anaesthetic activity
2. High lipophilicity
3. High ocular capture
4. Low Systemic activity

Correct answer: 1. Strong local anaesthetic activity

Explanation: Ref-KDT 6/e p144 Timolol and betaxolol are the preferred beta blockers for the treatment of glaucoma because they lack local anaesthetic activity. Drugs possessing this property increase the risk of corneal ulcers